Effect of tamoxifen:
1. Increased risk of endometrial carcinoma
2. Decreased risk of ovarian CA
3. Causes cardiotoxicity
4. Increased risk of osteoporosis

Correct answer: 1. Increased risk of endometrial carcinoma

Explanation: Tamoxifen is an S.E.R.M (selective estrogen receptor modulator) Increase risk of endometrial cancer Decrease risk of osteoporosis Useful in breast cancer Menopausal symptoms like hot flushes The estrogen agonist-antagonist tamoxifen used in the treatment of estrogen-receptor positive breast cancer. Both tamoxifen and raloxifene reduce the risk of breast cancer in high-risk women by approximately 50% and are approved for this indication. Tamoxifen acts as an estrogen agonist in the endometrium, increasing the risk of endometrial polyps, hyperplasia, and cancer, whereas no endometrial stimulation is seen with raloxifene. Raloxifene hence is the preferred drug for osteoporosis treatment over tamoxifen in postmenopausal women.